All the following branches of the Vthnerve supply the Duramater except
1. Anterior ethmoidal
2. Posterior ethmoidal
3. Auriculotemporal
4. Mandibular

Correct answer: 3. Auriculotemporal

Explanation: C i.e. Auricotemporal nerveAnterior cranial fossa is supplied by anterior & posterior ethmoidal nerves, maxillary nerve (nervous meningus medius) and mandibular nerve (nervus spinosus)Q. Middle cranial fosa is supplied by maxillary (nervus meningus medius) & mandibular (nervus spinosus) nerves and filaments from trigeminal ganglion. Posterior cranial fossa is supplied by nervus tentorii (tentorial nerve), upper cervical (C1, C2, C3) spinal nerves and meningeal branches of vagus (10), hypoglossal